AIDS day is ?
1. 7 April
2. 3-May
3. 5-Jun
4. 1-Dec

Correct answer: 4. 1-Dec

Explanation: Ans. is 'd' i.e., 1 December